Shape of the crown is determined in
1. Cap stage
2. Bud stage
3. Bell stage
4. All of the above

Correct answer: 3. Bell stage